All muscles of tongue are supplied by hypoglossal nerve except ?
1. Palatoglossus
2. Genioglossus
3. Hyoglossus
4. Both 2 and 3

Correct answer: 1. Palatoglossus

Explanation: Palatoglossus muscle is supplied by: superior laryngeal nerve vagal accessory complex